All are water borne disease, except -
1. Leptospirosis
2. Schistosomiasis
3. Fish tape worm
4. Brucellosis

Correct answer: 4. Brucellosis

Explanation: Brucellosis is transmitted by direct contact, foodborne or airborne infection. All others are waterborne. Viral Hep A, E, Polio, Rotavirus(in infants) bacterial typhoid and paratyphoid, bacillary dysentery, E. coli diarrhoea, cholera protozoal amoebiasis, giardiasis helminthic roundworm, threadworm, hydatid disease. Leptospiral Weil's disease Snail (aquatic host) Schistosomiasis Cyclops (aquatic host) Guinea worm, fish tapeworm (Ref. PARK'S TEXTBOOK OF PREVENTIVE AND SOCIAL MEDICINE 25th Edition page no.770)